All of the following conditions result in chronic thick walled pyogenic abscess except:
1. Inadequate surgical drainage
2. Virulent strain of offending organism
3. Prolnged course of antibiotic therapy
4. Presence of foreign body

Correct answer: 2. Virulent strain of offending organism

Explanation: Ans. B: Virulent strain of offending organism Virulence is by the degree of pathogenicity within a group or species of microorganisms or viruses as indicated by case fatality rates and/or the ability of the organism to invade the tissues of the host. The pathogenic capacity of an organism is determined by its virulence factors. In discussing disease, the adjective virulent is used to describe effect severity, and in discussing pathogens, the degree of infectiousness High the virulence, acute the infection will be.